Full term, Small for Date Babies are at high risk of?
1. Hypoglycemia
2. Intraventricular haemorrhage
3. Bronchopulomonary dysplasia
4. Hyperthermia

Correct answer: 1. Hypoglycemia

Explanation: Ans. is 'a' i.e., Hypoglycemia o Small for date babies are prone to hypoglycemia. o Intraventricular hemorrhage occurs in preterm infants (not in full term, small for date babies).